All are true for Mooren's ulcer except:
1. Peripheral ulcerative keratitis
2. Advancing edge is undermined
3. Perforation is common
4. Floor of ulcer is quickly vascularised

Correct answer: 3. Perforation is common

Explanation: Ans. Perforation is common